Tense and painful thyroiditis is
1. Dequervian's thyroiditis
2. Riedel thyroiditis
3. Hashimoto thyroiditis
4. Subacute lymphocytic thyroiditis

Correct answer: 1. Dequervian's thyroiditis

Explanation: Answer- A. Dequervian's thyroiditisDequervain thyroidits (granulomatous thyoiditis) - Most common cause of thyroid pain.